Posterior styphayloma is a feature of-
1. Congential myopia
2. Simple myopia
3. Pathological myopia
4. Hypermetropia

Correct answer: 3. Pathological myopia

Explanation: Posterior staphyloma. It refers to bulge of weak sclera lined by the choroid behind the equator. Here again the common causes are pathological myopia, posterior scleritis and perforating injuries. It is diagnosed on ophthalmoscopy. The area is excavated with retinal vessels dipping in it (just like marked cupping of optic disc in glaucoma) . Its floor is focussed with minus number lenses in ophthalmo-scope as compared to its margin.